The X-ray collimators commonly used in dentistry include
the following, except
1. Diaphragm collimator
2. Tubular collimator
3. Rectangular collimator
4. Square collimator

Correct answer: 4. Square collimator